The newborn has heart rate of 80 bpm and gasping respiration. What is your next step
1. Positive pressure ventilation with room air.
2. Intubate the newborn.
3. Positive pressure ventilation with 50 % oxygen.
4. Continuous positive airway pressure  with 100% oxygen.

Correct answer: 1. Positive pressure ventilation with room air.

Explanation: Apnea, gasping respirations or heart rate < 100 bpm beyond 30 seconds after delivery should prompt administration of positive pressure ventilation with room air.